Intercanine width in maxilla is increased with
1. Eruption of Lateral incisors
2. Eruption of permanent canines
3. Eruption premolars
4. Eruption of peg Laterals

Correct answer: 2. Eruption of permanent canines